Which of the following does not include the clinical features of Chronic Osteomyelitis?
1. Excruciating pain and tenderness
2. Non healing bony and overlying soft tissue wounds with indurated soft tissue
3. Wooden character of bone
4. Draining sinuses

Correct answer: 1. Excruciating pain and tenderness

Explanation: → Pain and tenderness : The pain is minimal.
→ Non-healing bony and overlying soft tissue wounds with induration of soft tissues.
→ Intraoral or extraoral draining sinuses.
→ Thickened or 'wooden' character of bone